All of the following are side effects of cyclosporine EXCEPT :
1. Post–transplant lymphoproliferative disorders (PTLDs)
2. Hypotension
3. Nephrotoxicity
4. Tremors

Correct answer: 2. Hypotension